Plethoric lung fields are seen in the all of the following except:
1. Ebstein anomaly
2. VSD
3. Total anomalous pulmonary venous connection
4. ASD

Correct answer: 1. Ebstein anomaly

Explanation: Ans. A: Ebstein anomalyChest radiographs can reveal the following in ebstein's anomaly:Normal findingsCardiomegalySmall aortic root and main pulmonary artery shadowDecreased pulmonary vasculatureLarge right atrium